All are associated with EBV, EXCEPT:
1. Hodgkin's disease
2. Lympho plasmacytic lymphoma
3. Post organ transplant lymphoma
4. Extranodal NK/T cell lymphoma, nasal type

Correct answer: 2. Lympho plasmacytic lymphoma

Explanation: Lymphoplasmacytic lymphoma is associated with hepatitis C virus. All other conditions are associated with EBV. Ref: Harrisons Principles of Internal Medicine, 18th Edition, Page: 921, Table 110-4